Most common clinical presentation of juvenile myoclonic epilepsy
1. Generalised tonic clonic seizures in sleep
2. Generalised tonic clonic seizures in awake state
3. Myoclonus
4. Absence seizures

Correct answer: 3. Myoclonus

Explanation: Ans. c. Myoclonus Most common clinical presentation of juvenile myoclonic epilepsy is myoclonus. "Juvenile myoclonic epilepsy (JME) is a generalized seizure disorder of unknown cause that appears in early adolescence and is usually characterized by bilateral myoclonic jerks that may be single or repetitive. The myoclonic seizures are most frequent in the morning after awakening and can be provoked by sleep deprivation. Consciousness is preserved unless the myoclonus is especially Juvenile Myoclonic Epilepsy Juvenile myoclonic epilepsy (JME) is a generalized seizure disorder of unknown cause that appears in early adolescence Characterized by bilateral myoclonic jerks that may be single or repetitiveQ. Clinical Features: Myoclonic seizures are most frequent in the morning after awakening and can be provoked by sleep deprivationQ. Consciousness is preserved unless the myoclonus is especially severe. Many patients also experience generalized tonic-clonic seizures, and up to one-third have absence seizures. Although complete remission is relatively uncommon, the seizures respond well to appropriate anticonvulsant medication. There is often a family history of epilepsy, and genetic linkage studies suggest a polygenic cause Juvenile Myoclonic Epilepsy Treatment: Valproate is often used to treat juvenile myoclonic epilepsy. Other epilepsy drugs are effective in juvenile myoclonic epilepsy: - LevetiracetamQ - TopiramateQ - LamotrigineQ For most people with JME, treatment is long-term, and often lifelongQ. However, treatment is effective, allowing most people with juvenile myoclonic epilepsy to go five years or more between seizures.